Glutathione is a:
1. Monopeptide
2. Dipeptide
3. Tripeptide
4. Tetrapeptide

Correct answer: 3. Tripeptide

Explanation: C Harper, 26th ed, p. 629 & 25th ed, p. 38, Fig (5.4)